The characteristic feature of apoptosis on light microscopy is -
1. Cellular swelling
2. Nuclear compaction
3. Intact cell membrane
4. Cytoplasmic eosinophlia

Correct answer: 2. Nuclear compaction

Explanation: Ans. is 'b' i.e., Nuclear compaction o The most characteristic feature of apoptosis is condensation of nuclear chromatin which corresponds to nuclear compaction (pyknosis) on light microscopy.